Which one of the following is a muscle splitting incision:
1. Kocher's
2. Rutherford-Morris
3. Pfannensteil
4. Lanz

Correct answer: 4. Lanz

Explanation: Ans. D i.e. Lanz